WHO Global Target for Prevention and Control of Non-communicable Disease by 2025 is to decrease Hypertension by:-
1. 25%
2. 35%
3. 55%
4. 75%

Correct answer: 1. 25%

Explanation: THE WHO NCD TARGETS (to be achieved by 2025) : Target 1: 25% relative reduction in the overall mortality from cardiovascular diseases, cancer, diabetes, or chronic respiratory diseases. Target 2: At least 10% relative reduction in the harmful use of alcohol, as appropriate, within the national context. Target 3: 10% relative reduction in prevalence of insufficient physical activity. Target 4: 30% relative reduction in mean population intake of salt/sodium. Target 5: 30% relative reduction in prevalence of current tobacco use in persons aged 15+ years. Target 6: 25% relative reduction in the prevalence of raised blood pressure or contain the prevalence of raised blood pressure, according to national circumstances. Target 7: Halt the rise in diabetes and obesity. Target 8: At least 50% of eligible people receive drug therapy and counseling (including glycemic control) to prevent heart attacks and strokes. Target 9: An 80% availability of the affordable basic technologies and essential medicines, including generics, required to treat major NCDs in both public and private facilities.